Safest antiepileptic drug during pregnancy is -
1. Dilantin
2. Sodium valproate
3. Trimethadione
4. Carbamazepine

Correct answer: 4. Carbamazepine